Cerebral Ischemia occur when cerebral blood flow is less than
1. 10 ml/ 1OOg/minute
2. 20 ml/ 1OOg/minute
3. 40 ml/ 1OOg/minute
4. 50 ml/1OOg/minute

Correct answer: 2. 20 ml/ 1OOg/minute

Explanation: the threshold of cerebral blood flow ( CBF) below which neuronal function is impaired and the tissue is at risk of infarction is around 22 ml/100 g/ min Hyperventilation causes decreased PaCO2 which subsequently leads to arterial vasoconstriction thus lowering cerebral blood flow (CBF), cerebral blood volume, and ICP. This effect is mediated my pH changes in the extracellular fluid which cause cerebral vasoconstriction or vasodilation depending on the pH. Ref Harrison20th edition pg 2567